Which is not a branch of cavernous part of internal carotid artery -
1. Cavernous branch
2. Inferior hypophyseal
3. Meningeal artery
4. Ophthalmic artery

Correct answer: 4. Ophthalmic artery

Explanation: Branches of cavernous part of ICA are meningeal branch, hypophyseal branches and cavernous branch.